What is the rate of BER in the stomach?
1. About 1.5/min in the stomach.
2. About 15/min in the stomach.
3. About 4/min in the stomach.
4. About 0.4/min in the stomach.

Correct answer: 3. About 4/min in the stomach.

Explanation: About 4/min in the stomach. Basic Electrical Rhythm (BER): Smooth muscle cells of the gastrointestinal tract have spontaneous rhythmic fluctuations in membrane potential between about -65 and -45 mV. BER initiated by Pacemaker cells called "Interstitial cells of Cajal" Metrics: The threshold for the action potential is -50 mV. The rate of BER: About 4/min in the stomach. About 12/min in duodenum About 8/min - distal ileum (falls down) In Colon: Rate rises from about 2/min at Cecum -----------> about 6 min at the Sigmoid colon.